What is true about HER2/neu overexpression in Ca breast:
1. Good prognosis
2. Responds well to taxanes
3. Responds well to monoclonal antibodies
4. Seen only in breast cancer

Correct answer: 3. Responds well to monoclonal antibodies